Factitious hyperinsulinemia is differentiated from insulinoma by-
1. C- peptides
2. Insulin antibodies
3. Serum glucose level
4. None of the above

Correct answer: 1. C- peptides